Side-effect of zidovidine in AIDS patient is:
1. Megaloblastic anemia
2. Hyperuricaemia
3. Nephrocalcinosis
4. Pancreatitis

Correct answer: 1. Megaloblastic anemia

Explanation: Side effects of zidovudine:- Anemia, granulocytopenia Myopathy, lactic acidosis Hepatomegaly with steatosis Headache, nausea Nail pigmentation Lipoatrophy, hyperglycemia